Peripheral giant cell granuloma occurs most commonly on the
1. Gingiva
2. Alveolar ridge
3. Palate
4. Floor of the mouth

Correct answer: 1. Gingiva